Rocker bottom foot,microcephaly,prominent occiput micrognathia are striking clinical features of?
1. Patau syndrome
2. Edward syndrome
3. Down syndrome
4. Turner syndrome

Correct answer: 2. Edward syndrome

Explanation: The above feature are classically seen in edward syndrome.